The occlusal surface of the primary tooth has
1. Narrower occlusal table than that of permanent.
2. wider occlusal table than that of permanent.
3. occlusal table equal to the permanent.
4. none of the above.

Correct answer: 1. Narrower occlusal table than that of permanent.